All are seen in the floor of 3rd ventricle except?
1. Infundibulum
2. Oculomotor nerve
3. Mammillary body
4. Optic chiasmaFouh Ventricle

Correct answer: 2. Oculomotor nerve

Explanation: B i.e. Occulomotor Nerve